Inulin is a homopolymer of ?
1. Fructose
2. Glucose
3. Mannose
4. Galactose

Correct answer: 1. Fructose

Explanation: Ans. is 'a' i.e., FructoseInulin is a homopolymer made up of fructose.